Identical twins can be differentiated by
1. Blood grouping
2. DNA fingerprinting
3. Finger print
4. Age

Correct answer: 3. Finger print

Explanation: * Among twins, the DNA fingerprint will show same pattern * But the fingerprint pattern is different even in identical twins. * The Fingerprint patterns are not inherited and paternity cannot be proved through fingerprint patterns. * The fingerprint patterns are distinctive and permanent in individuals. Ref:- Essentials of Forensic medicine Dr KS narayana Reddy 33th Edition; Pg num:- 86